A 3-week-old child presents with an abdominal mass. What is the most common cause of the presentation?
1. Neuroblastoma
2. Wilms tumor
3. Multicystic dysplastic kidney
4. Distended bladder

Correct answer: 3. Multicystic dysplastic kidney

Explanation: c. Multicystic dysplastic kidney(Ref: Nelson's 20/e p 2555)Multicystic dysplastic kidney is the most common cause of an abdominal mass in the newborn, but the majority are nonpalpable at birth.